About Kawasaki disease all are true, EXCEPT:
1. Mucocutaneous lesions
2. Coronary artery is involved
3. Seen in children
4. Suppurative lymphadenopathy

Correct answer: 4. Suppurative lymphadenopathy

Explanation: Suppurative lymphadenopathy